All are used to treat influenza B except
1. Oseltamivir
2. Zanamivir
3. Premavir
4. Ribavarin

Correct answer: 4. Ribavarin

Explanation: Neuraminidase inhibitors such as Oseltamivir, Zanamivir and Peramivir, which inhibit the viral enzyme neuraminidase in both influenza virus A and B, are effective for treatment and prophylaxis of influenza Amantadine and Rimantadine are active only against Influenza A Ref: Mason's Tropical Disease, 24th edition Pgno : 168-169